Lower dose of dopamine in cardiogenic shock will  increase:
1. Cardiac output
2. Urine output
3. Heart rate
4. Blood pressure

Correct answer: 2. Urine output